Pseudomyxoma peritonei is seen with -
1. Mucinous cystadenocarcinoma ovary
2. Carcinoid appendix
3. Endometrial carcinoma
4. Ileal carcinoid

Correct answer: 1. Mucinous cystadenocarcinoma ovary